Which of the following conversion is irreversible
1. Formyl THFA to Methenyl-THFA
2. Methenyl THFA to Methylene-THFA
3. Methylene THFA to Methyl-THFA
4. All of the above

Correct answer: 3. Methylene THFA to Methyl-THFA

Explanation: One carbon groups are formed from various sources. Except the formation of methyl-THFA The other one-carbons are interconvertible The only way of regeneration of active THFA from methyl-THFA is the methionine synthase reaction.